The MOST frequent cancer associated with asbestos exposure?
1. Lung cancer
2. Pleural mesothelioma
3. Peritoneal mesothelioma
4. Adenocarcinoma esophagus

Correct answer: 1. Lung cancer

Explanation: Lung cancer is the most frequent cancer associated with asbestos exposure mesothelioma both pleural and peritoneal is associated with asbestos exposure. Ref:Harrisons Principles of Internal Medicine, 18th Edition, Page 2123